Structures passing through the Lesser Sciatic Foramina:
1. Internal pudendal vessels
2. Nerve to Obturator internus
3. Pudendal nerve
4. All

Correct answer: 4. All

Explanation: A. i.e. Internal pudendal vessels; B. i.e. Nerve to Obturator internus; C. i.e. Pudendal nerveStructures passing through lesser sciatic foramen are - Pudendal nerve, Internal pudendal vessels, Nerve & Tendon of Obturator internus. Mnemonic - "PINTO"